Pseudo pelger huet cells are seen in?-
1. Hairy cell leukemia
2. Multiple myeloma
3. Hodgkin's lymphoma
4. Myeolo dysplastic syndrome

Correct answer: 4. Myeolo dysplastic syndrome

Explanation: The pseudo pelger huet neutrophil is one that exhibits dense clumping of the chromatin and hypolobulation of the nucleus that is classically bilobed or even nonlobed .This acquired abnormality, which resembles the inherited pelger huet anomaly, is sufficiently characteristic of MDS( myelo dysplastic syndrome) to be almost pathognomonic . Ref:Postgraduate Hematology by Victor Hoffbrand ,pg:512